Most specific enzyme for mi is:
1. Cpk-MM
2. Cpk-MB
3. Cpk-BB
4. LDH

Correct answer: 2. Cpk-MB

Explanation: Ans: bRef: Harrison, 16thed, p. 1450